SAFE strategy is for?
1. Bacterial conjunctivitis
2. Viral conjunctivitis
3. Onchocercariasis
4. Trachoma

Correct answer: 4. Trachoma

Explanation: ANSWER: (D) TrachomaREF: Khurana 4th ed p. 437SAFE strategy is used for trachoma* S: Surgery for eyelidA: AntibioticsF: Facial hygieneE: Environmental modifications